True statement regarding follicular cell carcinoma of thyroid is -
1. Hematogenous spread
2. Commonly multifocal
3. Readily diagnosed by FNAC
4. Most common carcinoma of thyroid

Correct answer: 1. Hematogenous spread

Explanation: . Hematogenous spread